Which of the following statements about propofol is not true?
1. It is contraindicated in porphyria
2. It does not trigger malignant hyperthermia
3. Commercial preparations contains egg
4. It is a suitable agent for day care surgery

Correct answer: 1. It is contraindicated in porphyria

Explanation: Propofol can be used safely in porphyria. Propofol is the recommended agent of choice for induction in susceptible individuals for malignant hyperthermia. Smooth induction, rapid onset of action, easy titration to effect, short clinical duration of action and demonstrable antiemetic effect make propofol an induction agent of choice for day care anaesthesia. Ref: Lee's Synopsis of Anesthesia, 13th Edition, Pages 158-60; Short Textbook of Anaesthesia By Ajay Yadav, 2nd Edition, Page 74 and 3rd Edition, Page 37; Handbook of Clinical Anesthesia By Paul G. Barash, Bruce F. Cullen, Robert K. Stoelting, M. Christine Stock , 6th Edition, Pages 257-259; Clinical Anesthesia By Paul G. Barash, Bruce F. Cullen, Robert K. Stoelting, Michael Cahalan, 6th Edition, Page 461